Which of the following is not a feature of rheumatoid arthritis?
1. Heberden nodes
2. Swan neck deformity
3. Ulnar deviation of fingers at metacarpopalyngeal joint
4. Symmetric reduction of joint space

Correct answer: 1. Heberden nodes

Explanation: Heberden does is a feature of osteoarthritis and not rheumatoid arthritisImportant hand deformities of hand in RABoutonniere deformity: flexion contracture of PIP joint and extension DIP jointSwan neck deformity: hyperextension of PIP joint and flexion at DIP joint(Refer: Mohindra's Fundamentals of Orthopedics, 2nd edition, pg no. 88, 101, 127)